Which proximal box should be given preference if the adjacent tooth proximal box are different in size.
1. Prepare and restore larger first
2. Prepare and restore smaller first
3. Prepare larger first and restore smaller first
4. Prepare smaller first and restore larger first

Correct answer: 3. Prepare larger first and restore smaller first